A medial temporal lesion produces -
1. Visual amnesia only
2. Auditory amnesia
3. Aparaxia
4. Anterograde amnesia

Correct answer: 4. Anterograde amnesia